Substernal pain is a feature of:
1. Tachycardia
2. Emphysema
3. Angina pectoris
4. Thrombi and emboli

Correct answer: 3. Angina pectoris